Prinzmetal angina is -
1. Angina after extreme exertion
2. Caused due to atherosclerotic blockade
3. Caused due to spasm of artery
4. Calcium channel blockers not effective

Correct answer: 3. Caused due to spasm of artery

Explanation: Ref: R. Alagappan Manual of Practical Medicine. 4th Edition pg no:79 Prinzmetal Angina Prinzmetal angina is a type of angina pectoris, which typically occurs during rest and may recur in a nightly cyclic pattern. ST-segment elevation or depression on the electrocardiogram and coronary artery spasm have been documented during an attack.